A small Ca+2 binding protein that modifies the activity of many enzymes and other proteins in response to changes of Ca+2 concentration is known as:
1. Cycline
2. Calmodulin
3. Collagen
4. Kinesin

Correct answer: 2. Calmodulin